Fertilisation of two ova which have been discharged from the ovary at the same period by two seperate acts of coitus at short intervals can be termed as
1. Pseudocyesis
2. Superfoetation
3. Superfecundation
4. Vanishing twin syndrome

Correct answer: 3. Superfecundation

Explanation: Superfecundation It means the fertilisation of two ova which have been discharged from the ovary at the same period by two separate acts of coitus at short intervals. Spermatozoa causing fertilisation may be sometimes from different men. Ref: FORENSIC MEDICINE AND TOXICOLOGY Dr PC IGNATIUS THIRD EDITION PAGE 332